Intercellular antibodies deposition on immunofluorescence is seen in:
1. Psoriasis
2. Pemphigus
3. Pemphigoid
4. Porphyria

Correct answer: 2. Pemphigus

Explanation: Ans. B. Pemphigusa. In Pemphigus, there is production of IgG auto antibodies against polypeptide complexes present in the intercellular substance of epidermis.b. Lesional sites show a characteristic Fish net like pattern of intercellular IgG deposits in the intercellular area.